Which of the following drug is bactericidal?
1. Sulfonamides
2. Erythromycin
3. Chloramphenicol
4. Cotrimoxazole

Correct answer: 4. Cotrimoxazole

Explanation: Primarily bactericidal: Penicillins Cephalosporins Aminoglycosides Vancomycin Polypeptides Nalidixic acid Rifampin Ciprofloxacin Isoniazid Metronidazole Pyrazinamide Cotrimoxazole ESSENTIALS OF MEDICAL PHARMACOLOGY K.D.TRIPATHI SIXTH EDITION PAGE NO:669